Vogt - Koyanagi - Harada syndrome is-
1. Chronic granulomatous uveitis
2. Chronic non-granulomatous uveitis
3. Acute purulent uveitis
4. None

Correct answer: 1. Chronic granulomatous uveitis

Explanation: Vogt-Koyanagi-Harada (VKH) syndrome is a chronic granulomatous uveitis. It is an idiopathic multisystem disorder which includes cutaneous, neurological and ocular lesions. Ref:A K Khurana 6th edition pg:169